The immediate treatment of 10 kg weight infants presented with tetany:
1. IV Diazepam
2. IV calcium gluconate with cardiac monitoring
3. IV slow phenobarbitone
4. Wait and watch

Correct answer: 2. IV calcium gluconate with cardiac monitoring

Explanation: (IV, Calcium gluconate with cardiac monitoring) (178-G) (486-87-Ghai 7th)Hypocalcemia* S. calcium less than 7 mg/dL* S. phosphate level may be elevated* ECG - QTc interval is prolonged* X-ray -congenital absence of thymus* Calcium gluconate 2 ml/kg of 10% solution is advised IV slowly to control the seizure, ECG monitoring is necessary during calcium infusion.* Feeds should be low in phosphate, cow milk feeds should be replaced with breast feeding.